Which of the following is a primary ketone body?
1. Acetoacetate
2. Acetone
3. Beta hydroxy butyrate
4. All are primary

Correct answer: 1. Acetoacetate

Explanation: ANSWER: (A) AcetoacetateREF: Harper 27th ed p. 191Acetoacetate is a primary ketone bodyKetone bodies are:AcetoacetateAcetoneBeta hy droxy butyrate